Nappes claires is seen in
1. Pityriasis versicolor
2. Pityriasis alba
3. Pityriasis rosea
4. Pityriasis rubra

Correct answer: 4. Pityriasis rubra

Explanation: Pityriasis rubra pilaris characterised by erythematous orange coloured p